second generation antipsychotic which functions as first generation antipsychotic in large doses
1. clozapine
2. questiapine
3. risperidone
4. lurasidone

Correct answer: 3. risperidone

Explanation: Risperidone * Importance * Most commonly used Side effects * Behaves as FGA at large doses * EPS * TD Sexual dysfunction REf. kaplon and sadock, synopsis of psychiatry, 11 th edition, pg no 935